False about 1st metacarpal is
1. Shortest and stoutest of all metacarpals
2. Does not articulate with any other metacarpal bone
3. Rotated medially through 90 degrees with respect to other metacarpals
4. The base is occupied by a condylar articular surface for trapezium

Correct answer: 4. The base is occupied by a condylar articular surface for trapezium

Explanation: The base of the 1st metacarpal bone is occupied by a convexo-concave avert articular surface for the trapezium. It is the shortest and stoutest of all metacarpal bones. The first metacarpal bone is rotated medially through 90degrees relative to other metacarpals. As a result of this rotation, the movements of the thumb take place at right angles to those of other digits. REF: BD Chaurasia 7th edition Page no: 28 and 29.